Clostridium tetani is:
1. Gram positive bacilli
2. Gram negative bacilli
3. Gram positive cocci
4. Gram negative cocci

Correct answer: 1. Gram positive bacilli

Explanation: Ans. is 'a' i.e., Gram positive bacilli(Ref: Ananthanarayan, 9th/e, p. 259 and 8th/e, p. 256)*All Clostridia are anaerobic, spore forming, gram positive bacilli.